Tributaries of cavernous sinus are all except -
1. Inferior cerebral vein
2. Central vein of retina
3. Sphenoparietal sinus
4. Superior cerebral vein

Correct answer: 4. Superior cerebral vein